After how many days of pregnancy the peak levels of HCG in urine is seen normally?
1. 30
2. 45
3. 70
4. 90

Correct answer: 3. 70

Explanation: The intact hCG molecule is detectable in plasma of pregnant women 7 to 9 days after the midcycle surge of LH that precedes ovulation. Thus, it is likely that hCG enters maternal blood at the time of blastocyst implantation. Plasma levels increase rapidly, doubling every 2 days, with maximal levels being attained at 8 to 10 weeks. Ref: Leveno K.J., Hauth J.C., Rouse D.J., Spong C.Y. (2010). Chapter 3. Implantation, Embryogenesis, and Placental Development. In K.J. Leveno, J.C. Hauth, D.J. Rouse, C.Y. Spong (Eds), Williams Obstetrics, 23e.